Normal filtration fraction is around:
1. 0.05
2. 0.1
3. 0.2
4. None of the above

Correct answer: 3. 0.2

Explanation: The ratio of the GFR to the RPF, the filtration fraction, is normally 0.16 to 0.20. The GFR varies less than the RPF. When there is a fall in systemic blood pressure, the GFR falls less than the RPF because of efferent arteriolar constriction, and consequently the filtration fraction rises. Ref: Ganong's Review of Medical Physiology 23rd edition, Chapter 38.